Most common type of primary Finger print pattern is:
1. Whorl
2. Loop
3. Arch
4. Composite

Correct answer: 2. Loop

Explanation: Ref: The Essentials of Forensic Medicine and Toxicology by KS Narayan Reddy. 29th edition. 2010. Pg 77.Explanation:Loops <67%), Whorls (25%), Arches (6-7%) and Composite (1-2% ) are the 4 major types of fingerprint patterns.Fingerprint is the best (most sensitive & most specific) method of identification.Even DNA fingerprints might he alike in monozygotic twins.The 1st dactylography bureau was established in Calcutta, India.Dactylography is the commonest identification system used worldwide.Poroscopy:This is further study of finger prints by LocardThe ridges on fingers and hands are studded with microscopic pores, formed by mouths of ducts of subepiderntal sweat glands.Each millimetre of a ridge contains 9 to 18 pores.Theses pores are permanent and immutable during life and vary in size, shape, position, extent and number over a given length of ridge in each individual.This method of examining pores is poroscopy, and is useful when only fragments of fingerprints are available.